vesicles over erythematous plaques in T3 dermatome region of trunk. Which of fle following would be the most likely causative or:,tn?
1. Varicella zoster
2. Herpes simplex
3. Pox virus
4. Papilloma virus

Correct answer: 1. Varicella zoster

Explanation: Ans. a. Varicella zoster A 60-year-old male presents with painful, grouped vesicles over erythematous plaques in T dermatome region of trunk. Varicella zoster is the most likely causative organism.